Hypotonia with brisk tendon reflexes are seen in
1. Hypotonic cerebral palsy
2. GBS
3. Spinal muscle atropy
4. Infantile tremor

Correct answer: 1. Hypotonic cerebral palsy

Explanation: Ghai essential paediatrics 8th edition. *In hypotonic cerebral palsy despite pyramidal involvement patients are atonic or hypotonic. Tendon reflexes are normal or brisk and Babinski response is positive.